Desensitizing paste harts
1. NaCl
2. KnO3 (Potassium Nitrate)
3. HnO3
4. KCl

Correct answer: 2. KnO3 (Potassium Nitrate)